Platelets are stored at what temperature:
1. 20 degree Celsius
2. 15 degree Celsius
3. 10 degree Celsius
4. 5 degree Celsius

Correct answer: 1. 20 degree Celsius

Explanation: Ans. A: 20 degree CelsiusIn blood banks platelet concentrates are stored at 20deg C to 24deg C.In the peripheral circulation or in situations of hypothermia caused by trauma or extracorporeal circulation, platelets may encounter temperatures significantly lower than 37deg C.On the other hand, whole-body hyperthermia with an increase of the body core temperature to 41.8deg C was reported in cancer treatment.Therefore, a temperature range of 20deg C to 42deg C might be considered clinically relevant. However, the effects of hypo- and hyperthermia on platelets and platelet function are not well understood.It is well recognized that the exposure of platelets to 4deg C results in platelet activation. Activation of chilled platelets (4deg C) was observed as a morphological change from the resting discoid state